Estrogen therapy for urinary incontinence acts by all mechanisms except
1. Increase collagen deposition thereby increasing urethral coaptation.
2. Increase α - adrenergic receptor sensitivity.
3. Decreases vascularity of periurethral capillary plexus.
4. Increase urethral blood flow and urethral closing pressure.

Correct answer: 3. Decreases vascularity of periurethral capillary plexus.

Explanation: Oestrogen administration increases vascularity of periurethral capillary plexus. Especially useful in menopausal women with urinary incontinence.